The epithelial lining of cervical canal is:
1. Low columnar
2. High columnar
3. Stratified squamous
4. Ciliated columnar

Correct answer: 2. High columnar